Percentage of a data can be depicted on a:
1. Pie chart
2. Bar diagram
3. Histogram
4. Graph

Correct answer: 1. Pie chart

Explanation: Ans. A: Pie chart A pie chart/circle graph is a circular chart divided into sectors, illustrating proportion. In a pie chart, the arc length of each sector (and consequently its central angle and area), is proportional to the quantity it represents. It is named for its resemblance to a pie which has been sliced.